Not a laproscopy instrument -
1. Trocar
2. Pneumoperitoneum needle
3. Doyen's retractor
4. Fiberoptic camera

Correct answer: 3. Doyen's retractor

Explanation: Ans. is 'c' i.e., Doyen's retractor o Pneumoperitoneum is created by Verres needle by usning CO2 which also used for saline injection,o Trocar & fiberoptic camera is also used after creating Pneumoperitoneum,o Doyen's retractor is used in LSCS.